Which of the following drug is not used in multiple sclerosis?
1. Interferon Beta1b
2. Interferon Beta1a
3. Glatiramer acetate
4. Mycophenolate mofetil

Correct answer: 4. Mycophenolate mofetil

Explanation: Medications Chemotherapy Kills cells that are growing or multiplying too quickly. Anti-inflammatory Prevents or counteracts swelling (inflammation) in joints and tissues. Immunosuppressive drug Reduces immune response. Steroid Modifies or simulates hormone effects, often to reduce inflammation or for tissue growth and repair. Ref: KATZUNG 13TH ED.